Osteotomes differ from chisels in that they are
1. Sharp
2. Slightly curved
3. Non beveled
4. Bi-bevelled

Correct answer: 4. Bi-bevelled